MRP 2 and conjugated hyperbilirubinemia associated with which of the following?
1. Criggler Najjar syndrome type I
2. Criggler Najjar syndrome type II
3. Dubin Johnson syndrome
4. Rotor syndrome

Correct answer: 3. Dubin Johnson syndrome

Explanation: Dubin-Johnson Syndrome:- Defect in canalicular protein called MRP2 leading to increase in conjugated bilirubin (CB). Criggler Najjar Syndrome type I and type II has decrease activity of UDP-glucuronodyltransferases leading to increase unconjugated bilirubin (UCB) which enters CNS and can cause kernicterus.